Which of the following represents Bumper's fracture?
1. Comminuted fracture of vertebral body
2. Comminuted intra articular fracture of distal tibial end
3. Comminuted, depressed fracture of the lateral tibial condyle
4. Avulsion fracture of the base of 5th metatarsa

Correct answer: 3. Comminuted, depressed fracture of the lateral tibial condyle

Explanation: Bumper's fracture is the comminuted, depressed fracture of the lateral tibial condyle. Comminuted fracture of vertebral body is called Burst fracture Comminuted intra articular fracture of distal tibial end is called Pilon's fracture Avulsion fracture of the base of 5th metatarsal is called Jones's fracture Ref: Maheshwari 3/e, Page 2-3.